Cyclo-oxygenase pathway of arachidonic acid metabolism does not give rise to:
1. Thromboxane A2
2. Prostaglandin
3. Leukotrienes
4. Prostacyclin

Correct answer: 3. Leukotrienes